A man, after skinning a dead animal, developed a pustule on his hand. A smear prepared from the lesion showed the presence of Gram positive bacilli in long chains which were positive for McFadyean's reaction. The most likely aetiological agent is-
1. Clostridium tetani
2. Listeria monocytogenes
3. Bacillus anthracis
4. Actinomyces sp

Correct answer: 3. Bacillus anthracis